Which of the following does not belong to Wermer's syndrome?
1. Pheochromocytoma
2. Parathyroid hyperplasia
3. Prolactinoma
4. Pancreatic hyperplasia

Correct answer: 1. Pheochromocytoma

Explanation: MEN 1 / Wermer's syndrome :

Parathyroid hyperplasia / adenoma.
Pitutary hyperplasia - Prolactinoma.
Pancreatic hyperplasia - Gastrinoma > Insulinoma > Glucagonoma.